Society is
1. Systems of relations between individuals
2. Inter-relation between person and society
3. A group of people with geographical boundaries
4. Study of laws

Correct answer: 1. Systems of relations between individuals